Concept of multipurpose workers was given by
1. Mudaliar committee
2. Srivastava committee
3. Kartar Singh committee
4. Mukherjee committee

Correct answer: 3. Kartar Singh committee

Explanation: Ans. is 'c' i.e., Kartar Singh committee